Trial of scar is contraindicated in all except:
1. History of previous classical cesarean section
2. History of previous CS due to contracted pelvis
3. Previous 3 LSCS
4. Previous history of LSCS (Indication malpresentation)

Correct answer: 4. Previous history of LSCS (Indication malpresentation)

Explanation: Ans. is d, i.e. Previous history of LSCS (Indication malpresentation)Ref Williams 24/e, p 611As discussed:If there is history of previous LSCS due to contracted pelvis next pregnancy, LSCS has to be done. VBAC cannot be tried.If there is history of previous classical cesarean section--again VBAC is contraindicated.History of previous 3LSCS also means VBAC is contraindicated. But if there is history of previous LSCS done because of fetal distress or malpresentation, next time VBAC can be tried.